Painless hematuria is seen in all of the following except:
1. Hypernephroma
2. Renal TB
3. Bleeding disorders
4. Renal infarction

Correct answer: 4. Renal infarction

Explanation: Ans. D: Renal infarction If there is malignant cause for haematuria, there is usually no pain When the cause is inflammatory, there may be local deep tenderness and occasionally reflex spasm of the psoas muscle, leading to involuntary flexion of the hip joint Sudden occlusion of the renal arteries causes acute loin pain, usually with dipstick hematuria